When Class III elastics are used, the maxillary first molars will:
1. Move distally and intrude
2. Move mesially and extrude
3. Move mesially and intrude
4. Move only mesially; there will be no movement in the vertical direction

Correct answer: 2. Move mesially and extrude

Explanation: Class III elastics are worn from the maxillary first molars to the mandibular canines. The force system created by Class III elastics will produce mesial movement and extrusion of the maxillary first molars.